Fibres which transmit fast pain from pulp are
1. Aα
2. Aγ
3. Aβ
4. Aδ

Correct answer: 4. Aδ